NOT True about hepatorenal pouch of Morrison:
1. It is the most dependent pouch of peritoneal cavity in supine posture
2. Right sub hepatic recess
3. Largest recess of peritoneal cavity
4. Communicates with infracolic and lesser sac compartment

Correct answer: 3. Largest recess of peritoneal cavity

Explanation: CHOICE EXPLANATION & ELIMINATION REASON 1 It is the most dependent pouch of peritoneal cavity in supine posture 2 Right sub hepatic recess 3 Lesser sac is the largest recess 4 True statement